All are zoonotic disease except -
1. Brucellosis
2. Leptospirosis
3. Scabies
4. Rabies

Correct answer: 3. Scabies

Explanation: Scabies is not a zoonotic disease. Reference:Park's textbook of preventive and social medicine,K.Park,23rd edition,page no:94.